Schiller- Duval bodies is seen in -
1. Choriocarcinoma
2. Embryonal cell Ca
3. Endodermal sinustumour
4. Immature teratoma

Correct answer: 3. Endodermal sinustumour

Explanation: Ans. is 'c' i.e., Endodermal sinus tumor o Yolk sac tumor (endodermal sinus tumor or infantile embryonal carcinoma) - Schiller - Duval bodies,o Leydig (interstitial) cell tumor - Reinke crystalloids.Note : - Rienke crystals are also seen in the hilus cell tumor of ovary.